Decreasing AMH (anti-mullerian hormone) is a sign of-
1. Disruption of ovarian-hypothalamic-pituitary axis
2. Test of ovulation
3. Increased androgen production from ovaries
4. Decreased ovarian reserve

Correct answer: 4. Decreased ovarian reserve

Explanation: Antimullerian hormone (AMH) expression inhibits development of the female reproductive tract in the male embryo also secreted by granulosa cells of preantral and small antral follicles in women regulates folliculogenesis by inhibiting recruitment of follicles from resting pool in order to select a dominant follicle levels decrease with declining ovarian reserve. AMH is mostly used as a reliable marker of ovarian reserve.